Which of the following techniques is the best for differentiating recurrence of brain tumour from radiation therapy-induced necrosis?
1. MRI
2. Contrast enhanced MRI
3. PET scan
4. CT scan

Correct answer: 3. PET scan

Explanation: "MRI or CT scans are often unable to distinguish radiation necrosis from recurrent tumor, but PET or SPECT scans may demonstrate that glucose metabolism is increased in tumor tissue but decreased in radiation necrosis."